All of the following agents act by intracellular receptors EXCEPT:
1. Thyroid hormones
2. Vitamin D
3. Insulin
4. Steroids

Correct answer: 3. Insulin

Explanation: The insulin receptor is located at outer membrane Pg.no.261KD TRIPATHI SEVENTH EDITION